Drug contraindicated in dendritic keratitis is:
1. 5% idoxuridine
2. Cycloplegics
3. Topical antibiotics
4. Dexamethasone

Correct answer: 4. Dexamethasone

Explanation: Ans: D i.e. Dexamethasone The corneal involvement in herpes simplex virus infection can be epithelial (dendritic/ geographic keratitis), stromal (necrotizing & non-necrotizing stromal keratitis) & endothelial Drugs & epithelial keratitis Epithelial keratitis responds well to topical antivirals (5% IDU/ idoxuridine drops) which are prescribed along with topical antibiotics to prevent secondary bacterial infection, lubricants to relieve discomfort & cycloplegics It is uniformly accepted that topical steroids are contraindicated in the presence of active viral replication as occurs in herpes simplex epithelial keratitis